Carries are important in all the following except ?
1. Polio
2. Typhoid
3. Measles
4. Diphtheria

Correct answer: 3. Measles

Explanation: Ans. is 'c' i.e., Measles orT Though incubatory carrier state occurs in measles, it is not so important. "The only source of infection is a case of measles. Carriers are not known to occur". - Park orT In all other three disease, carrier state is important in transmission of infection.